Most common complication in small for date babies is
1. Intraventricular hemorrhage
2. Hypoglycemia
3. Hypocalcemia
4. Hyaline Membrane Disease

Correct answer: 2. Hypoglycemia

Explanation: Complications Full-term SGA infants do not have the complications related to organ system immaturity that premature infants of similar size have. They are, however, at risk of Perinatal asphyxia Meconium aspiration
Reference: GHAI Essential pediatrics, 8th edition